Thyroid Ca not diagnosed by FNAC -
1. Follicular
2. Medullary
3. Papillary
4. Anaplastic

Correct answer: 1. Follicular

Explanation: Ans. is 'a' i.e., Follicular o The diagnosis of follicular carcinoma cannot be made by FNA.o FNAB is unable to distinguish benigs follicular lesions from follicular carcinoma.